Fever with all of the following characters are considered danger signs of acute encephalitis syndrome, EXCEPT:
1. Lethargy
2. Convulsion
3. Hepatosplenomegaly
4. Pain abdomen

Correct answer: 4. Pain abdomen

Explanation: Fever with any one of the following is considered danger sign for acute encephalitis syndrome and warrants urgent referral to nearest first referral unit: Lethargy Convulsions Unconsciousness Paralysis, rash, hepatosplenomegaly Ref: Park's textbook of Preventive and Social Medicine, 21st edition, page-263